Menadione is an analogue of
1. Vitamin C
2. Vitamin A
3. Vitamin D
4. Vitamin K

Correct answer: 4. Vitamin K

Explanation: ref: Ganong's review of medical physiology; 24th edition; page no;492 menadione C11H8O2(2-methyl-1,4-naphthoquinone) A compound used as a vitamin K supplement; important in blood clotting.